Artificial bruises are produced by ?
1. Capcicum
2. Marking nut
3. Croton
4. Abrus precatorius

Correct answer: 2. Marking nut

Explanation: Ans. is 'b' i.e., Marking nut Semicarpus anacardium (marking nut or bhilawanl Its seed are heart shaped, conical and black with acrid oily juice which is brownish but turns black on exposure to air. Active principles are semecarpol and bhilawanol. Juice applied to skin produces irritation, painful blisters followed by itching and eczema. Therefore it is used to produce artificial bruises. It is also used by washerman to mark clothes